Which one of the following conditions does not require any treatment unless it becomes symptomatic?
1. Subacute pulpitis
2. Chronic pulpitis
3. Pulp fibrosis
4. Apical cyst

Correct answer: 3. Pulp fibrosis